Structure formed from Mesonephric duct is?
1. Ovary
2. Ureter
3. Uterus
4. Uterine tubes

Correct answer: 2. Ureter

Explanation: A diverticulum called Ureteric bud which arises From the lower part of the mesonephric duct(wolffian duct) Ureter develops from part of the Ureteric bud that lies between the pelvis of the kydney and the vesico urethral canal HUMAN EMBRYOLOGY-INDERBIR SINGH TENTH EDITION-PAGE NO:285,290